Benefits under the Employees State Insurance scheme include all the following except-
1. Dependent's benefit
2. Funeral benefit
3. Dearness allowance
4. Rehabilitation Allowance

Correct answer: 3. Dearness allowance

Explanation: Ans. is `c' i.e., Dearness allowance Benefits to employees under ESI Act 1) Medical benefit 2) Sickness benefit 3) Maternity benefit 4) Disablement benefit 5) Dependant's benefit 6) Funeral expenses 7) Rehabilitation allowance